Hirschberg test is used to detect:
1. Squint
2. Field defects
3. Glaucoma
4. Optic atrophy

Correct answer: 1. Squint

Explanation: Ans. Squint